Symptoms of CO poisoning starts when the concentration is:
1. < 10%
2. > 10%
3. > 20 %
4. > 40 %

Correct answer: 2. > 10%

Explanation: Ans. > 10%